Warthin Finkeldy cells are found in:
1. Measles
2. Mumps
3. Molluscum contagiosum
4. Herpes simplex infection

Correct answer: 1. Measles

Explanation: Ans: A (Measles) Ref: Ananthanarayan, Panther CJ. Textbook of Microbiology 8th Edition & John Wiley & Sons, 2009Explanation:Guarneri bodies - VacciniaBollinger bodies - FowlpoxMolluscum bodies - Molluscum contagiosumTzanck cells - Multinucleated giant cells found in Herpes simplex infectionWarthin Finkeldy cells - Type of multinucleate giant cell found in hyperplastic lymph nodes early in the course of measlesClue cells are epithelial cells of the vagina with distinctive stippled appearance due to presence of intracellular bacteria